The vitamin B6 contained in plants is less bioavailable than that in animal tissues. Pyridoxine is required for:
1. Urea formation
2. Heme synthesis
3. Amylase
4. Lipoprotein lipase

Correct answer: 2. Heme synthesis

Explanation: Pyridoxine (Vitamin B6): Vitamin B6 refers to a family of compounds that include pyridoxine, pyridoxal, pyridoxamine, and their 5'-phosphate derivatives. 5'-Pyridoxal phosphate (PLP) is a cofactor for enzymes that involved in amino acid metabolism. Vitamin B6 also is involved in heme and neurotransmitter synthesis and in the metabolism of glycogen, lipids, steroids, sphingoid bases, and several vitamins, including the conversion of tryptophan to niacin. Severe vitamin B6 deficiency can lead to, Peripheral neuropathy Abnormal electroencephalograms Personality changes that include depression and confusion. Ref: Russell R.M., Suter P.M. (2012). Chapter 74. Vitamin and Trace Mineral Deficiency and Excess. In D.L. Longo, A.S. Fauci, D.L. Kasper, S.L. Hauser, J.L. Jameson, J. Loscalzo (Eds), Harrison's Principles of Internal Medicine, 18e.